All of the following are true about Von willibrand factor except:
1. Syntheszied by hepatocytes
2. Its deficiency can cause factor 8 defect also
3. Its deficiency can cause problem with platelet adhesion
4. Its serves as a carrier for the factor 8

Correct answer: 1. Syntheszied by hepatocytes

Explanation: A seems to be better answer though even the liver cells can produce a small amount of von willibrand factor.(ref Robbins 8th/670-671,9/e661)